Antrochoanal polyp arise from?
1. Ethmoid sinus
2. Maxillary sinus
3. Frontal sinus
4. Sphenoid sinus

Correct answer: 2. Maxillary sinus

Explanation: ANSWER: (B) Maxillary sinusREF: Dhingras ENT 5th ed p-188, 4th edition page 164See table of "DIFFERENCES BETWEEN ANTROCHOANAL AND ETHMOIDAL POLYP" in ENT December 2009